Type of shock seen in burns cases:
1. Hypovolemic
2. Cardiogenic
3. Neurogenic
4. None of the above

Correct answer: 1. Hypovolemic

Explanation: Ans. (a) Hypovolemic ShockRef: Bailey and Love 27th edition Page 13)Causes of hypovolemic shock: (the most common form of Shock)HemorrhagicNonhemorrhagicTrauma* Dehydration* Vomiting* Diarrhea* Diabetes having urinary loss* Evaporation in Burns* Third space loss pancreatitis, bowel obstruction